ALL of the following drugs have immunosuppressive effects, EXCEPT:
1. Cyclosporine
2. Cefaclor
3. Azathioprine
4. Steroids

Correct answer: 2. Cefaclor

Explanation: Cefaclor is a second generation cephalosporin and is not known to have any immunosuppressive effects. Corticosteroids is having immunosuppressive properties. Classification of immunosuppressants according to the WHO: Drugs targeting intracellular ligands: Calcineurin inhibitors Tacrolimus Cyclosporin A Antimetabolites Azathioprine Methotrexate Mycophenolic acid Cladribine Antiproliferative agents Cyclophosphamide Sirolimus Mitoxantrone Drugs targeting cell surface ligands: Monoclonal antibodies Fusion proteins Drugs targeting soluble factors: cytokines: Anti TNF alpha Daclizumab Ref: Immune Regulation and Immunotherapy in Autoimmune Disease By Jingwu Zhang page 297.